While treating benign prostatic hyperplasia with finasteride the period of trial required for maximum response
1. 1 month
2. 3 months
3. 6 months
4. 18 months

Correct answer: 3. 6 months

Explanation: Minimum time to act - 1 month
Maximum response around 6 months.